A pregnant patient, Lata is admitted for the workup of hemolytic anemia. She is giving the history of taking an antihypertensive drug after beginning of her pregnancy. The most likely cause would be:
1. Minoxidil
2. Clonidine
3. Methyldopa
4. Labetalol

Correct answer: 3. Methyldopa